Thrombocytosis is a recognised feature of -a) Myelofibrosisb) Systemic lupus erythematosisc) Azidothymidine therapy d) Myelodysplastic syndrome
1. b
2. c
3. ad
4. ab

Correct answer: 3. ad